Which of the following embryonic arterial structures is most likely responsible for the origin of the patent ductus arteriosus?
1. Right fourth arch
2. Left fifth arch
3. Right fifth arch
4. Left sixth arch

Correct answer: 4. Left sixth arch

Explanation: Proximal part of 6th arch artery - Pulmonary artery. Distal part of left 6th arch artery - Ductus arteriosus.